Foetus starts hearing by what time in intrauterine life:
1. 14 weeks
2. 20 weeks
3. 32 weeks
4. 33 weeks

Correct answer: 2. 20 weeks

Explanation: Formation of cochlea is complete by 20 weeks & a fetus can hear by 20 weeks.